An outbreak of streptococcal pharyngitis has occurred in a remote village. In order to carry out the epidemiological investigations of the outbreak, it is necessary to perform the culture of the throat swab of the patients suffering from the disease. The transport media of choice would be
1. Salt mannitol media
2. Pike's media
3. Stuart's media
4. Cary blair media

Correct answer: 2. Pike's media

Explanation: For culture, the throat swab of streptococcal pharyngitis case has to be sent to a laboratory in a suitable transport medium. Pike's medium: transport media for streptococcus. It is a blood agar containing 1 in 10,00,000 crystal violet and 1 in 16,000 sodium azide. Reference: Textbook of Microbiology; Anathanarayan and paniker's; 10th edition; Page no: 216